Classical dengue fever is transmitted by
1. Anopheles mosquito
2. Aedes mosquito
3. Mansonoides mosquito
4. Culex mosquito

Correct answer: 2. Aedes mosquito